Who started the 2nd amalgam war in 1920?
1. Hall Huggins
2. Alfred Stock
3. Taveau
4. Crawcour

Correct answer: 2. Alfred Stock

Explanation: In mid 1920, a German dentist named Alfred Stock started the so called 2nd amalgam war.
Phillip’s Science of Dental Materials, Pg-8